Granuloma is an example of:
1. Type I Hypersensitivity reactions
2. Type II Hypersensitivity reactions
3. Type Ill Hypersensitivity reactions
4. Type /V Hypersensitivity reactions

Correct answer: 4. Type /V Hypersensitivity reactions

Explanation: Type /V Hypersensitivity reactions